A 22-year-old lady died. The postmortem appearance that will indicate that she has had delivered a child are all, except -
1. Walls of uterus are convex from inside
2. Cervix is irregular and external os is patulous
3. Body of uterus is twice the length of cervix
4. Uterus is bulky, large and heavy than nullipara.

Correct answer: 1. Walls of uterus are convex from inside

Explanation: Signs of remote delivery in a dead lady.


Large, thicker and heavier uterus.
Walls of the uterus are concave from inside.
The body of the uterus is twice the length of the cervix (of the same length in virgin).
Top of the fundus is convex and at a higher level than that of the broad ligament.
The cervix is irregular in form, shortened and its edges show cicatrices.
External os is enlarged and internal os is not so well defined.
Mucosal folds are present in the canal of the cervix.